Definition of low birth weight
1. Wt <2kg
2. Wt < 1.5kg
3. Wt <2.5kg
4. Wt <1 k

Correct answer: 3. Wt <2.5kg

Explanation: Some important definitions in Neonatology Low birth weight: Birth weight of less than 2.5 kg irrespective of gestational age Very low birth weight: Birth weight of less than 1.5 kg irrespective of gestational age.
Extremely low birth weight: Birth weight of less than 1.0 kg irrespective of gestational age Neonatal: First 28 days of postnatal life. Preterm:
Less than 37 completed weeks of gestations Term: After 37 completed weeks of gestations Post term: After 42 completed weeks of gestations Past Dates:
After 40 completed weeks of gestations Stillbirth: Delivering dead fetus after 28 weeks of gestation. (Defn changes with the country) Abortion:
Expulsion of products of conception before 28 weeks of gestation. Small for Gestational Age (SGA):
Weight below the I Oth percentile for the gestational age Large for Gestational Age (LGA):
Weight above the 90th percentile for the gestational age Appropriate for Gestational Age (AGA): Weight between 10 lh & 90th percentile for the gestational age